Best IUCD for a woman with menorrhagia is:
1. Lippe loop
2. Cu-T 375
3. Cu-T 200
4. Levonorgestrel IUCD

Correct answer: 4. Levonorgestrel IUCD

Explanation: Ref: Shaw's Textbook of Gynaecology 15th Edition Pg: 230Explanation:Levonorgestrel I LCD is progesterone impregnated IUCD and is recommended to control bleeding in menorrhagia.Other non contraceptive benefits of LNG IUCD:DUBEndometrial hyperplasiaIntrauterine contraceptive devices (IUCD)Biologically inert devices : Lippe's loop Copper containing devices : Copper T Hormonal IUCDS : Progestasert, Levonova, MI RENAHormonal IUCDsProgestasert38mg of ProgesteroneReleases 65 micrograms/dayEffective for 1 year40% reduction in Menorrhagia40%' reduction in DysmenorrheaLevonova60 mg of LevonorgestrelReleases 20 micrograms/dayIncreased chances of ectopic pregnancySafe during lactationEffective for 5 yearsMIRENA52 mg of levonorgestrelReleases 25 micrograms/dayDoes not suppress ovulationActs on endometrium and cervical mucusUsed in DUB. Endometrial hyperplasia. HRTEffective for 5 years